A two month baby presents with epiphora and regurgitation. The most likely diagnosis is:
1. Mucopurulent conjunctivitis
2. Buphthalmos
3. Congenital dacryocystitis
4. Encysted mucocele

Correct answer: 3. Congenital dacryocystitis

Explanation: Congenital dacyrocystitis is mainly due to membranous occlusion at the lower end near the valve of Hasner. Clinical features include Epiphora, positive regurgitation test and swelling of the sac. Ref: A.K KHURANA (2005), Chapter 15, "Disease of The Lacrimal Apparatus", In the book, "Opthalmology", 3rd Edition, Newdelhi, Page 342